True about endometriosis is/are :
1. Most common in 3rd or 4th decade
2. Premenstrual spotting absent
3. Endometrial sarcoma is most common
4. True cyst

Correct answer: 1. Most common in 3rd or 4th decade

Explanation: Most common age group is between 30-45years Abnormal menstruation seen in 20% Menorrhagia is seen If the ovaries are also involved polymenorrhea, epimenorrhagia may be pronounced May be premenstrual spotting seen Malignancy is rare, commonest being adenocarcinoma Reference: D.C.DUTTA'S TEXTBOOKOF GYNECOLOGY; 6th edition; Page no: 306